Foramen transversarium transmit :
1. Inferior jugular vein
2. Inferior petrosal sinus
3. Sigmoid sinus
4. Vertebral artery

Correct answer: 4. Vertebral artery

Explanation: D i.e. Vertebral artery